Anaesthetic agent causing analgesia?
1. Ketamine
2. Propofol
3. Etomidate
4. Thiopentone

Correct answer: 1. Ketamine

Explanation: Ans. is 'a' i.e., Ketamine